Post-splenectomy patient is in need of '______________vaccination -
1. Pneumococcal
2. Rota virus
3. BCG
4. MMR

Correct answer: 1. Pneumococcal

Explanation: Ans. is 'a' i.e., Pneumococcal